Which of the following substances is a growth factor that is capable of inducing all the steps necessary for angiogenesis?
1. . EGF
2. TGF -a
3. PDGF
4. Basic fibroblasts growth factor

Correct answer: 4. Basic fibroblasts growth factor

Explanation: Basic fibroblast growth factor (FGF) * Growth factors are chemicals that are associated with cell growth. For example, fibroblast growth factor (FGF) can induce the growth and proliferation of fibroblasts. * Additionally, one type of FGF, basic FGF, is capable of inducing all of the stages of angiogenesis (basement membrane and extracellular matrix degradation, endothelial migration, endothelial proliferation, and endothelial differentiation). * The epidermal growth factor family includes epidermal growth factor (EGF) and transforming growth factor alpha (TGF- alpha). * These substances can cause proliferation of many types of epithelial cells and fibroblasts. The EGF receptor is c-erb B1. * Platelet-derived growth factor (PDGF), which is found in platelets, activated macrophages, endothelial cells, and smooth muscle cells, can cause migration and proliferation of fibroblasts, smooth muscle cells, and monocytes. TGF- beta, produced by platelets, endothelial cells, T cells, and macrophages, is associated with fibrosis. * In low concentrations it causes the synthesis and secretion of PDGF, but in high concentrations ii. inhibits growth due to inhibition of the expression of PDGF receptors.